Most abundant type of Crystalline protein in Lens  is
1. α Crystallin
2. β Crystallin
3. γ Crystallin
4. δ Crystallin

Correct answer: 2. β Crystallin

Explanation: Among the Crystalline proteins, β Crystallin protein forms 55% of the total proteins.